If tooth is present at the time of birth is known as
1. Neonatal tooth
2. Perinatal tooth
3. Natal tooth
4. Prenatal tooth

Correct answer: 3. Natal tooth